Ifosfamide belongs to which group of anticancer drugsaEUR'
1. Alkylating agents
2. Antiimetobolites
3. Mitotic inhibitors
4. Topoisomerase inhibitors

Correct answer: 1. Alkylating agents

Explanation: Alkylating agents Ifosfamide belongs to alkylating agent. It is an analogue of cyclophosphamide. It is used in combination for germ cell testicular cancer and is widely used to treat pediatric and adult sarcomas. Adverse effect of If osfamide:- Ifosfamide has virtually the same toxicity profile as cyclophosphamide although it causes greater platelet suppression, neurotoxicity, nephrotoxicity and in the absence of mesna, urothelial damage. When it is used in high doses (myeloablative doses) it causes severe neurological toxicity. When it is used in nonmyeloablative or low doses it causes severe urinary tract abnormalities. Intravenous mesna is given together with ifosfamide to prevent urinary tract adverse effects.